Which of the following is not a marking in Michigam O probe
1. 3
2. 6
3. 8
4. 9

Correct answer: 4. 9

Explanation: Mischigam O probe is a manual probe having marking 3,6,8.